Method of chromatography in which molecules that are negatively charged are selectively released from stationary phase into the positively charged molecules in mobile phase is termed as:
1. Affinity chromatography
2. Ion-Exchange chromatography
3. Adsorbtion chromatography
4. Size-Exclusion chromatography

Correct answer: 2. Ion-Exchange chromatography

Explanation: B i.e. Ion-Exchange chromatography